Flowing wax appearance on anterior and posterior borders of vertebrae is seen in -
1. Ankylosing spondylitis
2. DISH
3. Psoriatic arthropathy
4. Rheumatoid arthritis

Correct answer: 2. DISH

Explanation: Radiological features of DISH (Diffuse Idiopathic skeletal hyperostosis) : Flowing calcification and ossification along the anterolateral aspect of vertebral bodies. - Flowing wax appearance Preserved disc space. Absence of bony ankyosis of facet joints,absence of sacroiliac bony erosion,sclerosis or bony fusion.